NiTi alloy shows superelasticity through:
1. Conversion from Austenite to Martensite phase
2. Conversion from Martensite to Austenite phase
3. M wire phase
4. Austenite + Martensite + R phase

Correct answer: 1. Conversion from Austenite to Martensite phase

Explanation: Superelasticity and shape memory of NiTi alloys is because of phase transformation in their crystal structures when cooled from the stronger, high temperature form (Austenite) to the weaker low temperature form (Martensite).